Late onset hemorrhagic disease of newborn is characterized by all of the following features except?
1. Usually occurs in cow-milk fed babies
2. Onset occurs at 4-12 week of age
3. Intracranial hemorrhage can occur.
4. Intramuscular vitamin K prophylaxis at birth has a protective role

Correct answer: 1. Usually occurs in cow-milk fed babies

Explanation: Ans. is 'a' i.e., Usually occurs in cow-milk fed babies "Haemorrhagic disease of new born is more common in breast fed infants because breast milk is a poor source of vitamin K"- Nelson What is haemorrhagic disease of new born o It is a haemorrhagic disease of new born characterized by bleeding from various sites due to a transient deficiency of vitamin K dependent factors (II, VII, IX & X). . o Breast milk is a poor source of vitamin K and haemorrhagic manifestation are more common in breast fed infants.